Which of the following is not seen in fired cartridge case
1. Rifling markings
2. Firing pin marking
3. Extractor markings
4. Ejector markings

Correct answer: 1. Rifling markings

Explanation: Fired cartridge case shows Firing pin marking, Extractor markings & Ejector marking. Rifling markings are found only in fired bullet; not in the fired cartridge case.